Lardaceous spleen is seen in:
1. Alcoholic hepatitis
2. Chronic active hepatitis
3. Focal amyloidosis
4. Diffuse amyloidosis

Correct answer: 4. Diffuse amyloidosis

Explanation: Amyloidosis of the spleen is seen in two forms :- The sago spleen in which amyloid deposits are limited to the follicles, And the lardaceous spleen in which amyloid is deposited in the walls of the splenic sinusoids and spares the follicles.